What will occur with increase in alveolar ventilation rate
1. Decreased partial pressure of O2 in alveoli
2. Decreased partial pressure of CO2 in alveoli
3. Decreased CO2 diffusion from blood to alveoli
4. Decreased O2 diffusion from alveoli to blood

Correct answer: 2. Decreased partial pressure of CO2 in alveoli

Explanation: With increase in alveolar ventilation rate there is decrease in partial pressure of co2 in the alveoli Ref: guyton and hall textbook of medical physiology 12 edition page number: 332,333,334